Primary dentition shows teeth eruption by
1. 6 wks
2. 12 wks
3. 6 months
4. 12 months

Correct answer: 3. 6 months

Explanation: Primary dentition Ref: Ghai 9th edition, table 2.2 Upper jaw lower jaw Central incisor 8-12 mnths 6-10 mnths Lateral incisor 9-13 mnths 10-16 mnths First molar 13-19 mnths 14-18 mnths Canine 16-22 mnths 17-23 mnths Second molar 25-33 mnths 23-31 mnths